National Family Health Survey 3 was carried out in:
1. 1998-1999
2. 2001-2002
3. 2003-2004
4. 2005-2006

Correct answer: 4. 2005-2006

Explanation: 2005-2006